When anchor unit is allowed to tip, it is called anchorage
1. Simple
2. Compound
3. Complex
4. Reciprocal

Correct answer: 1. Simple